What is not true about Erythema multiforme –
1. Associated with H simplex
2. Involves distal parts of extremities
3. No vesicle
4. Target lesions

Correct answer: 3. No vesicle

Explanation: Erythema multiforme is a vesiculobullous disorder.
It is associated with HSV infection, involves acral parts (distal parts of extremities) and characterized by target lesion.